The right adrenal vein drains into -
1. Right renal vein
2. Inferior vena cava
3. Second right lumbar vein
4. Third right lumbar vein

Correct answer: 2. Inferior vena cava

Explanation: Right suprarenal (adrenal) vein drains into IVC and left one into left renal vein.